Moon's molars seen with
1. Syphilis
2. Leprosy
3. Amyloidosis
4. Actinomycosis

Correct answer: 1. Syphilis

Explanation: Moon's- or Mulberry Molar is a condition where the first lower molar tooth has become dome-shaped due to malformation by congenital syphilis.